Tildrakizumab was approved in March 2018 for
1. Psoriasis
2. HIV
3. Rheumatoid arthritis
4. Hepatitis C

Correct answer: 1. Psoriasis

Explanation: Tildrakizumab was designed to block interleukin-23, a cytokine that plays an important role in managing the immune system and autoimmune disease. It is approved for the treatment of moderate-to-severe plaque psoriasis.Ref: